All are toxicity seen with amiodarone therapy except
1. Pulmonary fibrosis
2. Corneal microdeposits
3. Cirrhosis of liver
4. Productive cough

Correct answer: 4. Productive cough

Explanation: Refer katzung 11e p 241 Amiodarone-induced pulmonarytoxicity (APT) is one of the most serious side effects of use. Incidence is approximately 5% when doses of 400 mg or more are used daily. ... Amiodarone pulmonarytoxicity can present in various ways: pneumonia interstitial disease, respiratory distress or solitary pulmonary masses.